10 year old chid has violaceous papule and pterygium of nails. The diagnosis is
1. Psoriasis
2. Pemphigus
3. Pemphigoid
4. Lichen Planus

Correct answer: 4. Lichen Planus

Explanation: D i.e. Lichen planus